All of the following statement are true regarding silicosis, except:
1. Crystalline forms are much more fibrogenic
2. Phagocytosed silica crystals activate the inflammasome, leading to the release of inflammatory mediators, particularly IL-2 and TNF
3. As the disease progresses, nodules coalesce into hard, collagenous scars
4. Histologic examination reveals the hallmark lesion characterized by a central area of whorled collagen fibers with a more peripheral zone of dust-laden macrophages.

Correct answer: 2. Phagocytosed silica crystals activate the inflammasome, leading to the release of inflammatory mediators, particularly IL-2 and TNF

Explanation: Silica occurs in both crystalline and amorphous forms, but crystalline forms (including quartz, cristobalite, and tridymite) are much more fibrogenic. After inhalation, the particles are phagocytosed by macrophages. The phagocytosed silica crystals activate the inflammasome, leading to the release of inflammatory mediators, particularly IL-1 and IL-18. As the disease progresses, these nodules coalesce into hard, collagenous scars. Histologic examination reveals the hallmark lesion characterized by a central area of whorled collagen fibers with a more peripheral zone of dust-laden macrophages.